40 year old obese lady with diabetes mellitus, hypertriglyceridemia, right upper quadrent pain and recurrent jaundice. What is seen in liver pathology -
1. NASH
2. Microvesicular hepatosis
3. Peliosis Hepatits
4. Autoimmune hepatitis

Correct answer: 1. NASH

Explanation: . NASHExplanation :- NASH ' Non ' alcoholic steohepatitis